All of the following are stress sensors/regulators for apoptosis, except ?
1. Puma
2. BAX
3. Noxa
4. BiM

Correct answer: 2. BAX

Explanation: All of the above are stress sensor for apoptosis except BAX gene. BAX gene is a pro-apoptotic gene which promotes apoptosis All other 3 options are stress sensors which balance/regulate apoptosis PRO-APOPTOTIC ANTI-APOPTOTIC SENSORS BAK gene BAX gene TP53 gene (most imp) corticosteroids promotes apoptosis BCl - 2 gene BCl - XL gene MCl- 1 sex steroids inhibits apoptosis BiM gene BiD gene Puma gene Noxa gene balances apoptosis